Most common nerve injured during thyroidectomy
1. External laryngeal nerve
2. Recurrent laryngeal nerve
3. Vagus nerve
4. Facial nerve

Correct answer: 1. External laryngeal nerve

Explanation: MC injured nerve - External branch of superior laryngeal nerve (aka External laryngeal nerve)